Banding technique most commonly employed for cytogenetic analysis
1. G banding
2. C banding
3. R banding
4. Q banding

Correct answer: 1. G banding

Explanation: G-banding (most common) R-banding Q-banding C-banding T-banding G stands for Giemsa R stands for "reverse" Q stands for Quinacrine Fluoroescent dye C stands for Constitutive heterochromatin or Centromere T stands for telomeres to produce a visible karyotype Dark regions are heterochromatin (AT) Light regions are Euchromatin (GC) Dark regions are euchromatin Bright regions are heterochromatin